Laryngeal mask is contraindicated in all except?
1. Oral tumor
2. Ocular surgeries
3. Massive maxillofacial injury
4. High risk of aspiration

Correct answer: 2. Ocular surgeries

Explanation: Ans. is 'b' i.e., Ocular surgeries